All are advantages of split thickness skin grafting except
1. Good uptake
2. Reusable donor site
3. Less contraction
4. Large grafts can be harvested

Correct answer: 3. Less contraction

Explanation: .Advantages of SSG includes, 1. Technically easier. 2. Wide area of recipient can be covered. To cover large area like burns wound, graft size is increased by passing the graft through a Mesher which gives multiple openings to the graft, which can be stretched on the wider area like a net. It can cause expansion upto 6 times. 3. Graft take up is better. 4. Donor area heals on its own. ref:SRB;s manual of surgery,ed 3,pg no 281